Repetition of a study in a given group is
1. Panel study
2. Cohort study
3. Group study
4. High risk

Correct answer: 1. Panel study